Which of the following markers in the blood is the most reliable indicator of recent hepatitis B infection?
1. HBsAg
2. IgG anti - HBs
3. IgM anti HBc
4. IgM anti - HBe

Correct answer: 3. IgM anti HBc